Triage refers to?
1. Availability of level of medical care
2. Categorization of patients according to level of severity
3. Medical personnel skill level
4. None of the above

Correct answer: 2. Categorization of patients according to level of severity

Explanation: Ans. is `b' i.e., Categorization of patients according to level of severity Triage consists of rapidly classifying the injured and the likelyhood of their survival with prompt medical intervention.